In ICDS the requirement in pregnant females is ?
1. 300 cal, 15 gm protein
2. 300 cal , 25 gm protein
3. 500 cal, 15 gm protein
4. None

Correct answer: 4. None

Explanation: Ans. is 'None' o According to 21st/e of Park, answer of this question is none as 600 calories and 18-20 grams of protein are recommended for pregnant and nursing women. Kishori Shakti Yojna (KSY) o KSY is rename of 'Adolescent Girl's scheme' under ICDS. Its aims are - To improve the nutritional and health status of adolescent girls To promote self development, awareness of health, hyiegene nutrition and family life and child care. o KSY covers 6118 ICDS projects.